Which of the following is the lateral curve of the body in strychnine poisoning :
1. Opisthotonus
2. Emprosthotonus
3. Pleurosthotonus
4. None of the above

Correct answer: 3. Pleurosthotonus

Explanation: C i.e. Pleurosthotonus